Wernicke's encephalopathy is due to deficiency of
1. Thiamine
2. Niacin
3. Folic acid
4. Pyridoxine

Correct answer: 1. Thiamine

Explanation: The commonest cause of the organic amnestic syndrome is chronic alcohol dependence. It is also called as Wernicke-korasakoff syndrome. Wernicke's encephalopathy is the acute phase of delirium proceeding to the organic amnestic syndrome, while korasakoff's syndrome is the chronic phase of the amnestic syndrome. (Ref: a short textbook of psychiatry, Niraj Ahuja,7th edition, pg no. 27)